Infection/ inflammation of all of the following causes enlarged superficial inguinal lymph nodes except:
1. Isthmus of uterine tube
2. Inferior part of anal canal
3. Big toe
4. Penile urethra

Correct answer: 4. Penile urethra

Explanation: D. i.e. Penile urethra Penile (spongy) urethra of male mostly drain to deep inguinal lymph nodes